The advantages of cryosurgery over electrocauterization are all except
1. Less discomfort to the patient
2. Postoperative bleeding is much less
3. Postoperative vaginal discharge is much less
4. Cervical stenosis is extremely rare

Correct answer: 3. Postoperative vaginal discharge is much less

Explanation: Advantages of cryosurgery Anaesthesia not required Precise destruction of tissue No secondary hemorrhage Cervical stenosis is rare Disadvantages Major disadvantage is the cervical discharge after the procedure